Complication in a patient with Long term use of contact lens is most commonly caused by?
1. Aspergillus
2. Acanthameoba
3. Pneumococcus
4. Pseudomonas

Correct answer: 4. Pseudomonas

Explanation: Ans. (d) PseudomonasRef: A.K. Khurana 6th ed. 198PSEUDOMONAS* Pseudomonas is the commonest organism affecting long term use of contact lens followed by acanthameoba. SIGNS suggesting the former infection: presence of ring shaped ulcer, lack of vascularization, pain out of proportion, pseudodendritis.PNEUMOCOCCUS* The commonest cause of corneal ulcer in India is Streptococcus Pneumonia (causes central corneal ulcer) whereas the commonest cause in the world is staphylococcus aureus (causes peripheral corneal ulcer).* The bacterial ulcer can present with the formation of a hypopyon (sterile).* The characteristic hypopyon corneal ulcer is due to pneumococcus and is called ulcus serpens.* Treatment : topical gentamicin/ tobramycin and cephalozin with cycloplegics( atropine ointment or drops) and analgesics.